All of the following may occur in Noonan's syndrome except -
1. Hypertrophic cardiomyopathy
2. Cryptoorchidism
3. Infertility in females
4. Autosomal dominant transmission

Correct answer: 3. Infertility in females

Explanation: Ans. is 'c' i.e., Infertility in females Term 'Noonan Syndrome' has been applied to males and females who have some phenotypic features that resemble females with turner's syndrome (45 X, 0), but themselves have apparently normal sex chromosomes (46 XX or 45 XY). o Females usually show normal sexual maturation but it is delayed 2 years on an average.